Penile carcinoma is usually?
1. Squamous cell carcinoma
2. Basal cell carcinoma
3. Adenocarcinoma
4. Small cell carcinoma

Correct answer: 1. Squamous cell carcinoma

Explanation: Ans. is 'a' i.e., Squamous cell carcinoma * Most of penile cancers are squamous cell carcinoma and arise on glans or inner surface of prepuce.* Two most common growth patterns are papillary and flat. A third uncommon variant is verrucous carcinoma (Giant condyloma or Buschke-Lowenstein tumor) which is well-differentiated with low malignant potential.